Fetal blood loss in abnormal cord insertion is seen in:
1. Vasa previa
2. Decidua basalis
3. Battle Dore placenta
4. Succenturiate placenta

Correct answer: 1. Vasa previa

Explanation: Normally ,the umbilical cord is inserted at the centre of fetal surface of placenta. In Velamentous insertion of cord - the blood vessels are attached to the amnion, where they ratify before reaching the placenta. Whenever patient goes into labour and cervix dilates, there are chances of umbilical cord being injured leading to fetal blood loss. This is called as Bad previa. Ref: Datta Obs 9e pg 36,206.